The posterior 1/3rd portion of the tongue develops from:
1. First Arch
2. Third Arch
3. Second Arch
4. All of the above

Correct answer: 2. Third Arch